All of the following conditions are more commonly associated with LBBB pattern than RBBB Pattern on ECG, Except:
1. Acute MI
2. Aortic valve disease
3. Lev Disease
4. Ashman Phenomenon

Correct answer: 4. Ashman Phenomenon

Explanation: Answer is D (Ashman Phenomenon) Ashman Phenomenon is more commonly associated with an RBBB aberration than LBBB. Ashman's phenomenon should be suspected in atrial fibrillation when there is a long cycle followed by a short cycle, with the subsequent QRS complex manifesting a right bundle branch block pattern. Ashman Phenomenon is more commonly associated with an RBBB aberration than LBBB Ashman's phenomenon is a transient functional bundle brunch block resulting from an aberrant intraventricular conduction abnormality that occurs in response to a change in QRS cycle length (When a short cycle follows a long one). RBBB aberration is typically more common than LBBB. Ashman's phenomenon should be suspected in atrial fibrillation when there is a long cycle followed by a short cycle, with the subsequent QRS complex manifesting a right bundle branch block pattern. Acute Myocardial Infarction, Aortic Valve disease and Lev Disease are all associated with LBBB Selected Causes of Left Bundle Branch Block Coronary Heart Disease/ Acute MI (frequently with impaired left ventricular function) Hypertensive Heart Disease Aortic Valve Disease Cardiomyopathy Idiopathic fibrosis of the bundle branch fibres (Lev disease and Lenegre Disease